The importance of defining "population at risk" in an epidemic is
1. Conduct survey
2. Search for deaths
3. Calculate attack rates
4. Prepare case sheet

Correct answer: 3. Calculate attack rates

Explanation: The population census will help in computing the much-needed attack rates in various groups and subgroups of the population.Without an appropriate denominator of &;'population at risk,' attack rates cannot be calculated.Ref: Park 23rd edition pg: 130